Enlarged liver with Hepatocellular dysfunction seen in -
1. Wilson's disease
2. Budd. Chiari syndrome
3. NASH
4. All of the above

Correct answer: 4. All of the above